Which of the following is not a dimorphic fungus?
1. Coccidioides
2. Histoplasma
3. Blastomyces
4. Cryptococcus neoformans

Correct answer: 4. Cryptococcus neoformans

Explanation: Ans. d (Cryptococcus neoformans). (Textbook of Microbiology by Anantanarayan, 6th/576)HIGH YIELD FACTS IN FUNGOLOGYYeastC. Neoformans (only pathogenic yeast)Yeast likeCandida albicans (pseudomycelium present)Moulds/filamentous fungiDermatophytesDimorphic (filamentous as well as yeasts)Most fungi causing systemic infection *(not cryptococcus though).Commonest culture mediumSabourauds medium, czapek - dox and cormeal agar are other culture media for fungi.Reynolds-Braude phenomenonRapid method of identifying Candida albicans based on its ability to form germ tube when incubated in human serum at 37 degree for 42 hr.Sclerotic bodyChromoblastomycosisAsteroid bodiesSporotrichosisIndia ink preparationCryptococcus (other stains for it's capsule are alcian blue & mucicarmine)Desert rheumatism/ Valley feverCoccidioidomycosisAspergillusSeptate hypaeNot a dimorphic fungusCryptococcusTuberculate sporesHistoplasma capsulatum